A neonate develops signs of meningitis at seven days of birth. The presence of which of the following infectious agent in the maternal genital tract can be the causative agent of this disease –
1. Neisseria gonorrhoeae
2. Chlamydia trachomatis
3. Streptococcus agalactiae
4. Haemophilous ducreyi

Correct answer: 3. Streptococcus agalactiae

Explanation: Neonatal meningitis 

Group B streptococcus (strep agalactiae) is the most common cause of neonatal meningitis.
Infection is acquired from the maternal vagina during birth in early onset (within a week) meningitis and from the environment in late onset (after 1st week) meningitis.